Commonly done surgery in sarcoma is:
1. Wide excision
2. Compartemental excision/exentration
3. Excision
4. Enucleation

Correct answer: 1. Wide excision

Explanation: Ref: Devita Cancer: Principles & Practice of Oncology,,7/eExplanation:Wide en bloc resection is used most often.Historical attempts to resect all muscle bundles from origin to insertion have now been supplanted by an encompassing resection, aiming to obtain a 2-cm margin of uninvolved tissue in all directions.The limiting factor is usually neurovascular or, occasionally, bony juxtaposition.Because most soft tissue sarcomas tend not to invade bone directly, only rarely does bone need to be resected.Soft tissue sarcomas uncommonly involve the skin, so major skin resection should be limited.In situations of primary or recurrent tumors in which skin is involved, or in which the tumor is so extensive that skin is involved, and then consideration of free tlap or rotational flap closure becomes important.Extent of Surgical ResectionThe most extensive resection is clearly amputation. This should be only rarely indicated in soft tissue sarcoma because limb-sparing operations are possible in at least 90% of patients.Amputation should be reserved for tumors not able to be resected by any other means, without evidence of metastatic disease and the potential for good long-term functional rehabilitation.